Metastatic calcification is commonly seen in all of the following, except:
1. Lungs
2. Kidneys
3. Gastric mucosa
4. Cardiac valves

Correct answer: 4. Cardiac valves

Explanation: Dystrophic calcification is seen in cardiac valves (calcific valvular disease). Metastatic calcification principally affects interstitial tissues of: Gastric mucosa Kidneys Lungs Systemic arteries Pulmonary veins The common feature of all these sites, which makes them prone to calcification is that they can lose acid and therefore they have an internal alkaline component favorable for metastatic calcification.